Class A threat for bioterrorism are all EXCEPT
1. Rickettsia prowazeki
2. Ebola virus
3. Yersenia pestis
4. Clostridium botulinum

Correct answer: 1. Rickettsia prowazeki

Explanation: (Rickettsia, prowazekii): (1769- H 18th edition)Key features of Biologic agents used as Bioweapons (Bioterrorism)1. High morbidity rates2. Potential for person to person spread3. Low infective dose and highly infectious by aerosol4. Lack of rapid diagnostic capability5. Lack of universally available effective vaccine6. Potential to cause anxiety7. Availability of pathogen and feasibility of production8. Environmental stability9. Database of prior research and development10. Potential to be weaponizedCDC Category A, B and C AgentsCategory ACategory B* Anthrax (Bacillus anthrais)* Botulism (Clostridium botulinum toxin)* Plaque (% pestis)* Small pox (Variola major)* Tularemia (Francisella tularensis)* Viral hemorrhagic feversi. Arenaviruses - Lassa, New world (Machupo- Jonin, Guanarito and sabia)ii. Bunyaviridae - Crimean- Congo- Rift valleyiii. Filaviridae - Ebola - Marburg* Brucellosis (Brucella)* Epsilon toxin of Clostridium perfringens* Food safety threats eg salmonella spp. Escherichia, coli 0157:H7, Shigella* Glanders (Borkholderia mallei)* Meliodosis (B. pseudomallei)* Psittacosis (Chlamydophila psittace)* Q. fever (Coxiella bumetti)* Ricintoxin from Ricinus commonis castor beans* Staphylococcal enterotoxin- B* Typhus fever (Rickettsa prowazekii)* Viral encephalitis (alpha viruses eg Venezuelan,eastern and western equinie encephalitis)* Water safety threats (eg- vibrio choleraCryptosporidium paiwam)Category CEmerging infectious disease threats such as Nipah hantavirus, SARS coronavirus and pandemic influenza